A 6 - year - old boy with lymphoreticular malignancy has come for a cycle of chemotherapy. Which of the following investigatins need to be done for next 4 hours to diagnose tumour lysis syndrome?
1. Urea, creatinine, chloride, Ca2+ and K+
2. Urea, creatinine, phosphate, Ca2+ and K+
3. Urea, creatinine, magnesium, Ca2+ and K+
4. Urea, creatinine, sodium and phosphate

Correct answer: 2. Urea, creatinine, phosphate, Ca2+ and K+

Explanation: Tumour lysis syndrome (TLS) - -Uric acid, phosphate and potassium are released in large quantities from death of tumour cells. -Hyperuricemia can lead to impairment of renal function, which further exacerbates the metabolic abnormalities. -Hypocalcaemia is a consequence of acute hyperphosphatemia with subsequent precipitation of calcium phosphate in soft tissues. 'TLS can occur before therapy in patients with a large tumour burden (e.g., Burkitt lymphoma, Hyperleukocytosis) It is usually seen within 12-48 hr of initiating chemotherapy.